Adverse effect of phenytoin include all of the following except:
1. Lymphadenopathy
2. Ataxia
3. Hypercalcemia
4. Hirsutism

Correct answer: 3. Hypercalcemia

Explanation: Ref: KDT 6/e p404,405 phenytoin causes osteomalacia and results in hypocalcemia not hypercalcemia.